Full-thickness graft can be obtained from all of the following except:
1. Axilla
2. Groin
3. Supraclavicular area
4. Elbow

Correct answer: 1. Axilla

Explanation: Donor sites for full-thickness grafts are:

Eyelids
Postauricular skin
Supraclavicular skin
Antecubital skin
Inguinal area
Genital area
Submammary skin
Subgluteal skin